Autosomal recessive disease are:
1. Tuberous sclerosis
2. Duchenne muscular dystrophy
3. Cystic fibrosis
4. All

Correct answer: 3. Cystic fibrosis

Explanation: C i.e. Cystic fibrosis